Depth of Anesthesia best measure by:-
1. BIS
2. MAC
3. TOF
4. Post Tetanic Potentiation

Correct answer: 1. BIS

Explanation: - Depth of anesthesia is measured best by Bispectral index- Attach bands on forehead of patient which has 3 EEG electrodes.one corresponds to frontal, parietal and temporal- EEG is been done,response is analyzed by computer and graphically and numerically represented on monitor- Value 0-100 (coma -fully aware)- Target intra OP depth 40-60 Entropy:- EEG & EMG- More sensitive and better monitor than BIS for monitoring depth of anesthesia TOF - Neuromuscular block is monitored by TOF monitoring- Brain function monitoring (bispectral index, entropy, auditory evoked potentials) may be helpful in titrating the dose of inhaled or injected anesthetic drugs to produce the desired degree of central nervous system depression- The BIS monitor allows clinicians to employ reduced amounts of anesthetic for light sedation cases and may enable anesthesia providers to modify their anesthetics to allow for a faster wake-up. However, if the BIS monitor is used primarily to decrease the amount of anesthetic administered for reasons of cost and efficiency, it is possible that an even more frequent incidence of recall might result. Conversely, a recent study on the use of the BIS monitor showed no decrease in the incidence of awareness with the use of volatile anesthetics.